Caries detection dye can stain the following except:
1. Granular necrotic tissue
2. Dry, leathery dentin
3. Reversibly denatured collagen
4. Irreversibly denatured collagen

Correct answer: 3. Reversibly denatured collagen